First muscle affected in compartment syndrome :
1. Flexor Digitorum sublimis
2. Flexor Digitorum profundus
3. Flexor carpi ulnaris
4. Flexor carpi radialis

Correct answer: 2. Flexor Digitorum profundus

Explanation: Flexor muscles of forearm has superficial and deep mucles. Deep muscles-Flexor digitorum profundus Flexor digitorum longus Pronator quadratus. Deep muscles are more affected by increased intracompartmental syndrome. ref : maheswari 9th ed